The commonest cause of breech presentation is:
1. Prematurity
2. Hydrocephalus
3. Placenta praevia
4. Polyhydramnios

Correct answer: 1. Prematurity

Explanation: Ans. is 'a' i.e.,, Prematurity RepeatAt 30 weeks of pregnancy, approximately 25% of women have breech presentation. The fetus undergoes spontaneous version usually between 30th and 34th week. This corrects the breech position. Any maternal or fetal condition, which prevents this spontaneous version will result in a persistent breech presentation.